In testicular feminisation syndrome,false statement is :
1. Buccal smear is chromatin positive
2. Normal breast size
3. amenorrhea
4. Familial incidence is recognised

Correct answer: 1. Buccal smear is chromatin positive

Explanation: Testicular feminising syndrome karyotype is 46 XY normal breast development primary amenorrhea inherited as autosomal dominant/X linked recessive gene sex chromatin is negative D.C.DUTTA'S TEXTBOOK OF GYNAECOLOGY,Pg no:443,6th edition